Small fiber neuropathy is seen in?
1. HIV
2. Vitamin B12 deficiency
3. AIP
4. Cisplatin toxicity

Correct answer: 1. HIV

Explanation: Small unmyelinated peripheral nerve fibers, Categorized as C fibers, In skin and organs. Innervate the skin (somatic fibers) , Help to control autonomic function. Causes of Small Fiber Neuropathy: 1. Diabetes mellitus 2. Leprosy 3. Amyloidosis 4. Tangier's disease 5. Sjogren syndrome 6. HIV 7. Sarcoidosis